Which of the following enzyme can be added to LA to speed both onset and area of anaesthesia:
1. Trypsine
2. Alkaline phosphatase
3. Acid phosphatase
4. Hyaluronidase.

Correct answer: 4. Hyaluronidase.

Explanation: Hyaluronidase is an enzyme that breaks down intracellular cement. It is added to LA to speed both the onset of anesthesia and the area of anesthesia especially in inferior alveolar nerve block.